In HbM the position of point mutation
1. b chain, 87th codon, Histidine - Tyrosine
2. a chain, 87th codon, Histidine - Tyrosine
3. b chain, 6th codon, Glutamine - Valine
4. b chain, 6th codon, Glutamine - Lysine

Correct answer: 2. a chain, 87th codon, Histidine - Tyrosine

Explanation: Ans. (b) a chain, 87th codon, Histidine - Tyrosine(Ref: Wintrobes 12th ed 1060-1070)M (met) hemoglobins are characterized by heme-iron oxidation and result in cyanosis.HbM Iwate (HBA 87th position his - tyr)